Inhalational agent of choice for Pediatric Anaesthesia in a child with congenital heart disease
1. Sevoflurane
2. Isoflurane
3. Halothane
4. Enflurane

Correct answer: 1. Sevoflurane

Explanation: Anaesthetic agent of choice in Pediatric age group Inhalational agentIV anaestheticsNM blockersIM anaestheticsSevoflurane, Nitrous oxide Thiopentone, Propofol Rocuronium, Atracurium, Mivacurium, Succinylcholine Ketamine ( Reserved drug )(Refer: Morgan's Clinical Anaesthesiology, 4th edition,pg no: 922-938)